Which is the most common type of bronchiectasis?
1. Cylindrical
2. Varicose
3. Cystic
4. Irregular

Correct answer: 1. Cylindrical

Explanation: Most common type of bronchiectasis is the cylindrical type.